Cell mediated immunity is by virtue of?
1. Helper t cells
2. Suppressor t cells
3. Cytotoxic t cells
4. All aboce

Correct answer: 4. All aboce

Explanation: All above REF: Jawetz's 24th ed chapter 8 Cell mediated immunity is effected by T cells Helper T cells, suppressor T cells, cytotoxic T cells are types of T Cells